Babu a 19-year-old male has a small circumscribed sclerotic swelling over diaphysis of femur; likely diagnosis is:
1. Osteoclastoma
2. Osteosarcoma
3. Ewing's sarcoma
4. Osteoid osteoma

Correct answer: 4. Osteoid osteoma

Explanation: (d) Osteoid osteoma- Well circumscribed sclerotic swelling over diaphysis of a long bone (femur) in a 19 years old suggests the diagnosis of osteoid osteoma.